Which of the follwoing is the most common cause of premature death in schizophrenia -
1. Homicide
2. Suicide
3. Toxicity of antipsychotic drug
4. Hospital acquired infection

Correct answer: 2. Suicide

Explanation: Suicide is the single leading cause of premature death among people with schizophrenia.